Where pulsatile liver and ascites is found aEUR'
1. TR
2. Critical pulmonary stenosis
3. MR
4. MS

Correct answer: 1. TR

Explanation: Tricuspid regurgitation "Pulsatile liver is almost pathognonionic for Tricuspid regurgitation". The most common cause of enlarged pulsatile liver is congestive cardiac failure (it produces functional tricuspid incompetence). Ascite can be seen in right heart failure.